The drug used for d-Tc reversal is
1. Atropine
2. Atracurium
3. Diazepalm
4. Neostigmine

Correct answer: 4. Neostigmine

Explanation: D i.e. Neostigmine